Congenital lactic acidosis occur due to the deficiency of which of the following enzyme?
1. Transketolase
2. Pyruvate dehydrogenase enzyme complex
3. Pyruvate kinase
4. Pyruvate decarboxylase

Correct answer: 2. Pyruvate dehydrogenase enzyme complex

Explanation: Inherited pyruvate dehydrogenase deficiency, presents with lactic acidosis. Due to lack of pyruvate dehydrogenase,there will be lack of Acetyl co A production and pyruvate to lactate conversion occurs leading to accumulation of lactic acid Causes of lactic acidosis: 1. Tissue hypoxia 2. Mitochondrial disorders 3. Deficiency of: PDH Enzyme TCA cycle enzymes Vit B1 4. Poisoning : Cyanide, Mercury, Arsenite Reference: Harper's Illustrated Biochemistry 30th Edition Page no: 174